Papillae are seen in –
1. Trachoma
2. Viral conjunctivitis
3. Spring catarrh
4. All of the above

Correct answer: 4. All of the above

Explanation: Papilla (papillary conjunctivitis) is seen in allergic conjunctivitis (spring catarrh), Trachoma, chronic blephritis, some viral (measles) conjunctivitis, Giant papillary conjunctivitis (contact lenses, prominent sutures, artificial eyes).